H. Influenzae grows on all of the media except
1. Chocolate agar
2. Fields agar
3. Nutrient agar
4. Blood agar with S aureus streak line

Correct answer: 3. Nutrient agar

Explanation: Nutrient agar lacks factor V and X hence does not support it's growth.